Which of the following is not a histological variant of thyroid neoplasm?
1. Follicular
2. merkel cell
3. Insular
4. Anaplastic

Correct answer: 2. merkel cell

Explanation: Poorly differentiated thyroid cancer (DTC) describes a lesion that previously was known as "insular" thyroid cancer. Poorly DTC may be thought of as occupying a middle ground between DTC and ATC (anaplastic thyroid cancer), which is completely dedifferentiated Merkel-cell carcinoma is a rare and aggressive skin cancer Source : Sabiston 20th edition Pg : 910